Which of the following is a long acting beta 2 agonist?
1. Salbutamol
2. Salmeterol
3. Terbutaline
4. Levalbuterol

Correct answer: 2. Salmeterol

Explanation: Ans. (b) SalmeterolRef.: KDT 6thed /127, 128